A 60-year-old man is diagnosed to be suffering from Legionnaires disease after he returns home from attending a convention. He could have acquired it
1. From a person suffering from the infection while travelling in the aeroplane
2. From a chronic carrier in the convention center
3. From inhalation of the aerosol in the air conditioned room at convention center
4. By sharing an infected towel with a fellow delegate at the convention

Correct answer: 3. From inhalation of the aerosol in the air conditioned room at convention center

Explanation: Ans. is 'c' i.e., From inhalation of the aerosol in the air conditioned room at convention centerRef: Harrison, 19th/e, p. 1014; Ananthanarayan, 9th/e, p. 401Legionella can multiply in free-living amoebas and can coexist with them in biofilms. Infection of debilitated or immunocompromised humans commonly follows inhalation of the bacteria from aerosols generated from contaminated air-conditioning systems, shower heads, and similar water sources.